Which of the following doesn't elevate the larynx?
1. Sternohyoid
2. Thyrohyoid
3. Mylohyoid
4. None

Correct answer: 1. Sternohyoid

Explanation: Elevators: Primary elevators act directly as they are attached to the thyroid cartilage and include stylopharyngeus, salpingopharyngeus, palatopharyngeus and thyrohyoid. Secondary elevators act indirectly as they are attached to the hyoid bone and include mylohyoid (main), digastric, stylohyoid, geniohyoid.
Depressors: They include sternohyoid, Sternohyoid and omohyoid.